What is Saturation index?
1. Used to assess the Air quality by measuring concentration of pollutants.
2. Used to assess the water quality by estimating hardness, total dissolved solids, alkalinity and pH.
3. Used to assess the Soil quality that whether it is good for growing crops.
4. Used to assess the Milk quality by estimating the bacterial count in it.

Correct answer: 2. Used to assess the water quality by estimating hardness, total dissolved solids, alkalinity and pH.

Explanation: Langlier saturation index indicates degree of saturation of CaCO3 in water Used in industry to stabilize water. LSI is based on 1) pH of water 2) Total dissolved solids 3) Alkalinity 4) Calcium concentration 5) water temperature - LI positive - it leads to deposition & scaling - LI negative - it leads to corrosion - LI should be kept zero - to avoid corrosion & scaling